Selective medium for meningococcal infection is -
1. DCA
2. Blood agar
3. LJ medium
4. Thayer - martin medium

Correct answer: 4. Thayer - martin medium